HIV pt with malabsotion, fever, chronic diarrhoea, with acid fast positive organism. What is the causative agent ?
1. Giardia
2. Microsporidia
3. Isospora
4. E. histolytica

Correct answer: 3. Isospora

Explanation: Ans. is 'c' i.e., Isospora Protozoa commonly causing diarrhea in HIV patients and have acid fast oocyst are cryptosporidia and isospora belli.